All of the following statements about Bartter Syndrome and Gitelman's Syndrome are true, except:
1. Autosomal Recessive Inheritance
2. Bartter Syndrome Presents earlier in life than Gitelman's Syndrome
3. Genetic defect in Bartter Syndrome involves the transport proteins in the distal tubule
4. Hypercalciuria is more common in Bartter Syndrome

Correct answer: 3. Genetic defect in Bartter Syndrome involves the transport proteins in the distal tubule

Explanation: Answer is C (Genetic defect in Bartter Syndrome involves the transport proteins in the distal tubule) Genetic defect in Bartter Syndrome is located in the thick ascending limb of the loop of Henle. Features Bartter Syndrome Gitelman's Syndrome (Mimics Loop Diuretics) (Mimics Thiazide Diuretics) Inheritance * Autosomal recessive disorder. * Autosomal recessive disorder Pathophysiology * Genetic defect in the thick ascending limb of the * Genetic defect in the distal tubule Loop of Henle * Defect in Na-Cl cotransporter in the distal * Defects in Na-K-2C/ coLtranspoer, K or Cl channels result in lack of concentrating ability tubule Age of Presentation * Early in lift. * Late childhood or early adulthood. Clinical * No Hypertension * No Hypertension (Can see lower than presentation: average blood pressure due to salt wasting). * Polyuria and nocturia in 50-80%. * Polyuria and polydipsia common * Often present with neuromuscular symptoms * Neuromuscular symptoms are uncommon or mild such as muscle cramping and spasms, significant fatigue. Often presents with sensorineural deafness, triangular facies with drooping mouth, large everts and pinnae, and renal failure. Lab data: * Chloride resistant metabolic alkalosis * Chloride-resistant metabolic alkalosis * Hvpokalemia * * Hypokalemia. * Normal serum magnesium (may be low). * Hypomagnesemia * Increased Urinary Calcium Excretion * Decreased Urinary calcium excretion (Hypercakiuric so at risk for kidney stones or * Ibpocalciuric so no increased risk of kidney nephrocalcinosis) stones or nephrocalcinosis) Renal PGE2 production * Increased * Normal